Relative risk of developing TB in patients already infected with TB bacilus is highest in
1. Diabetes
2. Recent infection
3. Post transplantation
4. Malnutrition

Correct answer: 3. Post transplantation

Explanation: Ans. is 'c' i.e., Post transplantation Relative risk of developing T.B. Post transplantation 20-70 HIV 30 Silicosis 30 Recent infection 12 Diabetes 3-4 Malnutrition 2-3